Russel bodies are -
1. Intracellular accumulation of protein
2. Homogenous eosinophilic deposits
3. Seen in multiple myeloma
4. All of the above

Correct answer: 4. All of the above